Which of the following type of face bow is used to locate the exact hinge axis point:
1. Facial type arbitrary.
2. Eyepiece type arbitrary.
3. Kinematic face bow.
4. All of the above.

Correct answer: 3. Kinematic face bow.

Explanation: Arbitrary face bows are used to record terminal hinge axis arbitrarily. It is most commonly used in complete denture prosthodontics. It may be of facial type or eyepiece type.
Kinematic face bow is used to determine and locate the exact hinge axis point. It is attached to lower jaw. It is not used for complete denture fabrication. It is generally used for the fabrication of FPD and full mouth rehabilitation.